Visual field monitoring is important before starting?
1. Vigabatrin
2. Topiramate
3. Valproic acid
4. Carbamazepine

Correct answer: 1. Vigabatrin

Explanation: Ans. is 'a' i.e., Vigabatrin oRT Vigabatrin is an irreversible inhibitor of GABA transaminase, thus increases GABAergic activity. It is the DOC for infantile spasms (previously ACTH was DOC). It can result in irreversible visual field defects due to retinal atrophy. Therefore visual field monitoring is important.